Which one of the following is used as preservative for packing catgut suture
1. Isopropyl alcohol.
2. Colloidal iodine.
3. Glutaraldehyde.
4. Hydrogen peroxide.

Correct answer: 1. Isopropyl alcohol.

Explanation: Ans. is 'a' ie., isopropyl alcoholRememberSuturesPreservatives usedCatgutIsopropyl alcoholProlineIsopropyl alcoholVicrylNoneSilkNone